As opposed to lobar pneumonia broncho pneumonia is characterised grossly and microscopically by
1. patchy inflammatory distribution
2. organisation of alveolar exudate
3. A diffuse inflammatory distribution
4. Inflammation of bronchus

Correct answer: 1. patchy inflammatory distribution